Carboxylases requires
1. Vitamin B12
2. Folic acid
3. Niacin
4. Biotin

Correct answer: 4. Biotin

Explanation: Pyruvate in the cytoplasm enters the mitochondria. Then, carboxylation of pyruvate to oxaloacetate is catalyzed by a mitochondrial enzyme, pyruvate carboxylase. It needs the co-enzymes biotin and ATP.Ref: DM Vasudevan, page no: 103